True about Frank Breech :
1. Thigh extended, leg extended
2. Thigh flexed. knee extended
3. Both are flexed
4. Budha's attitude

Correct answer: 2. Thigh flexed. knee extended

Explanation: Ans. is b and i.e. Thigh flexed, knee extended